Radiographic appearance of Pindborg's tumor is –
1. Onion - peel appearance
2. Sun burst appearance
3. Cherry - blosom appearance
4. Driven - snow appearance

Correct answer: 4. Driven - snow appearance

Explanation: Pindborg tumor radiologically presents as driven snow appearance, i.e. scattered flecks of calcification throughout the radiolucency.